Vasodilation in acute inflammation is first shown by
1. Venules
2. Arterioles
3. Capillaries
4. Vein

Correct answer: 2. Arterioles

Explanation: Ans. (b) Arterioles(Ref: Robbins 9th/pg 74; 8th/pg 47)Vasodilation first involves the arterioles and then leads to opening of new capillary beds in the area.The result is increased blood flow, which is the cause of heat and redness (erythema) at the site of inflammation.